Statutory rape is:
1. Rape of an insane woman
2. Rape of another person's wife
3. Rape in police custody
4. Rape of < 18 years old girl

Correct answer: 4. Rape of < 18 years old girl

Explanation: Ans. Rape of < 18 years old girl